What are hamartomas -
1. Hemangiomas
2. Development malformations
3. Hematomas
4. Antibioma

Correct answer: 2. Development malformations

Explanation: Hamartoma 

A hamartoma is a benign (noncancerous) tumor-like growth consisting of a disorganized mixture of cells and tissues normally found in the area of the body where the growth occurs.
For example, hamartoma of lung contains cartilage, blood vessels, bronchial type of structures and lymphoid tissues.

It is a development malformation that resembles a neoplasm in the tissue of origin.


But, it is not a neoplasm because it grows at the same rate as the surrounding tissues, unlike neoplasm whose growth exceeds the growth of the surrounding tissue.


Choristoma

Choristoma is the ectopic rest of normal tissue, i.e., the normal tissue is present at a different anatomical site of the body.
For example, the presence of pancreatic tissue in mucosa of the small intestine

Normally arranged tissue at a different anatomical site (ectopic site) → Choristoma.


Abnormally arranged tissue present at normal site → Hamartoma